Erythroderma is seen in all except -
1. Drug hypersensitivity
2. Pityriasis rubra pilaris
3. Pityriasis rosea
4. Psoriasis

Correct answer: 3. Pityriasis rosea

Explanation: Ans. is 'c' i.e., pityriasis rosea Causes of Erythroderma1) Skin disorders - Psoriasis, eczema/dermatitis (atopic, stasis,contact, seborrheic), Pityriasis Rubra Pilaris, Lichen Planus)2) Systemic diseases - cutaneous T- cell lymphoma3) Drugs - Gold, allopurinol, phenytoin, penicillin, sulphonamide4) Idiopathic - secondary to solid tumors of lung, liver, prostate, thyroid, colon